Function of cholesterol in plasma membrane:
1. Helps in transport of ions
2. Helps in exocytosis
3. Maintains fluidity
4. Helps in synthesis of bile salts

Correct answer: 3. Maintains fluidity

Explanation: Cholesterol maintains the fluidity of the membrane